Which of the following is a membrane-bound enzyme that catalyzes the formation of cyclic AMP from ATP?
1. Tyrosine kinase
2. Polymerase
3. ATP synthase
4. Adenylate cyclase

Correct answer: 4. Adenylate cyclase

Explanation: An enzyme that catalyzes the conversion of adenosine triphosphate (ATP) to cyclic adenosine monophosphate (cAMP) and inorganic pyrophosphate (PPi ).It is activated by the attachment of a hormone or neurotransmitter to a specific membrane-bound receptor.Ref: DM Vasudevan, 7th edition, page no: 504, 506